The most aesthetic and frequently placed crown for
primary incisors is -
1. Stainless steel crown
2. Open face stainless steel crown
3. Pre-fabricated veneered steel crowns
4. Strip crowns

Correct answer: 4. Strip crowns